The colour of a nitrous oxide cylinder is
1. Red
2. Blue
3. White
4. Black

Correct answer: 2. Blue